Organism lacking cell wall:
1. Bacillus
2. Actinomycetes
3. Chlamydiae
4. Mycoplasma

Correct answer: 4. Mycoplasma

Explanation: Ans: d (Mycoplasma) Ref: Ananthanarayanan, 7th ed, p. 395Mycoplasma are a group of bacteria that are devoid of cell walls and so highly pleomorphic with no size and shape.The cells are bounded by a soft trilaminar unit membrane containing sterols.Cell wall: Between capsule & cytoplasmic membrane-CELL WALL COMPONENTS Gram positiveGram negativePeptidoglycanPeptidoglycanTeichoic acidLipoproteinPolysaccharideLipopolysaccharide Peptidoglycan (mucopeptide or murien)Formed ofN acetyl glucosamine and N acetyl muramic acid.In Gram positive around 40 sheets while inGram negative only 1-2 are present.It provides tensile strength.LipopolysacchrideHas endotoxic activity; released only when cells are lysed.LipoproteinMost abundant part of Gram negative cell wallTeichoic acidMajor antigenic determinantPolymer of ribitol or glycerol